CNS tumor seen in Von Hippel Lindau syndrome is-
1. Meningioma
2. Cerebellar hemangioblastoma
3. CNS lymphoma
4. Glioma

Correct answer: 2. Cerebellar hemangioblastoma